Telephone scatologia is considered as a form of:
1. Voyeurism
2. Exhibitionism
3. Fetichism
4. Sadism

Correct answer: 2. Exhibitionism

Explanation: Telephone Scatologia :- Making obscene telephone calls for sexual pleasure is known as Telephone Scatologia It is considered a form of Exhibitionism. Vouyrism/Peeping Tom:- by watching the private acts of Female Sadism :- sexual gratification by infliction of pain Fetichism :- sexual gratification with inanimate objects